Ionophores have following action except:
1. Abolish proton gradient
2. Inhibit ADP to ATP conversion
3. Hydrophilic in character
4. Abolish pH gradient

Correct answer: 3. Hydrophilic in character

Explanation: C i.e. Hydrophilic in characterIonophoresaillCeain microbes synthesize small organic molecules called ionophores, that function as shuttle for the movement of ions across membrane.